"Anhedonia" seen in schizophrenia is linked to which of the following neurotransmitter abnormality?
1. Serotonin
2. Dopamine
3. Glutamate
4. GABA

Correct answer: 2. Dopamine

Explanation: Anhedonia refers to the reduced ability to experience pleasure.In animal models severe stress causes nucleus accumbens dopamine neurons to become insensitive to CRF (Coicotropin-Releasing Factor), resulting in reduced dopamine release and increased anhedonia.(Ref: Kaplan and Sadock's synopsis of psychiatry Pg 290)